Mechanism of action of tacrolimus is ?
1. Inhibition of transcription of IL 2
2. Inhibition of translation of IL 2
3. Inhibition of calcineurin
4. Both 'a' and 'c'

Correct answer: 4. Both 'a' and 'c'

Explanation: Ans. is 'd' i.e., Both 'a' and 'c'